In Beta thalassemia, there is
1. Increase in beta chain,decrease in alpha chain
2. Decrease in beta chain ,increase in alpha chain
3. Decrease in beta chain decrease in alpha chain
4. Increase in beta chain, increase alpha chain

Correct answer: 2. Decrease in beta chain ,increase in alpha chain

Explanation: Ans. is 'b' Decrease in Beta chain and increase in alpha chain The abnormality in Beta thalassemia is a total lack of or a reduction in the synthesis of structurally normal Beta Globin chains with unimpaired synthesis of alpha chains.The hematologic consequence of this is not only low intracellular haemoglobin but also relative excess of alpha chains.The free alpha chains tend to aggregate into insoluble inclusions within erythrocytes and their precursors causing premature destruction of maturing erythroblasts within the marrow ( ineffective erythropoises)* as well as lyses of mature red cells in spleen.